The values of systolic BP in a given data are 120, 120, 130, 120, 110, 110, 200. Which of the following will be best to used for central tendency in the given data?
1. Mean
2. Median
3. Mode
4. Harmonic mean

Correct answer: 2. Median

Explanation: Ans. is 'b' i.e., Median Arithmetic meanIt is the most commonly used statistical average.To calculate mean, add up the values of all individual observation and then divide by the number of observations.The process of adding together is called summation and is denoted by the sign E or S.